In an elective lap cholecystectomy with no gross spillage, antibiotics required are
1. Single dose of Preoperative IV antibiotic followed by a 5 day course of oral antibiotics
2. Post operative IV antibiotics for 1 day followed by a 5 day course of oral antibiotics
3. Single dose of Preoperative IV antibiotic only
4. 5 day course of oral antibiotics only

Correct answer: 3. Single dose of Preoperative IV antibiotic only

Explanation: Elective lap cholecystectomy is a clean-contaminated surgery, single preoperative IV antibiotic during decisive period is sufficientThere is no evidence that further doses of antibiotics after surgery are of any value in prophylaxis against infectionWhen wounds are heavily contaminated or when an incision is made into an abscess, a 5-day course of therapeutic antibiotics may be justifiedRef: Bailey and Love 27e pg: 53